Responsible for epidemic dropsy is -
1. Sanguinarine
2. Ergot alkaloids
3. Pyrazolidine alkaloids
4. Aflatoxin

Correct answer: 1. Sanguinarine

Explanation: The conatamination of mustard oil with argemone oil which contains a toxic alkaloid,sanguinarine causes epidemic dropsyREF.PARK'S TEXTBOOK OF PREVENTIVE AND SOCIAL MEDICINE.Editon-21.Page no.-608.